Km is
1. Substrate concentration at which the velocity of reaction is maximum
2. Substrate concentration at which velocity of reaction is half of the maximum
3. Corresponds to Y-axis
4. Denotes efficacy

Correct answer: 2. Substrate concentration at which velocity of reaction is half of the maximum

Explanation: Km is that concentration of substrate at which velocity of reaction is Vmax /2 (half of the maximum)
It corresponds to X-axis and denotes potency.